The following is the least likely manifestation of acute Budd-Chiari syndrome:
1. Enlarged tender liver
2. Ascites
3. Jaundice
4. Venous collaterals

Correct answer: 4. Venous collaterals

Explanation: Venous collaterals are formed in portal hypertension and require time to be formed and hence are unlikely to be seen in acute Budd Chiari syndrome C/F of B.C.S-1. Triad - RUQ pain, Ascites (portal HTN), Hepatomegaly2. Jaundice d/t necrosis in central part of liver d/t backward pressure.3. Hepatorenal Syndrome4. IVC blocked - decreased blood to right heart - Obstructive shock5. Pedal edema6. Collaterals seen in chronic BCS 7. Most common cause of hepatic vein obstruction causing budd chiari syndrome is thrombosis of hepatic vein 8.Obstruction of two or more major hepatic vein produce budd chiari syndrome 9.Obstruction of a single main hepatic vein by thrombosis is clinicaly silent.